Leaf like helminths are also called:
1. Flukes
2. Roundworms
3. Tapeworms
4. Cestodes

Correct answer: 1. Flukes

Explanation: Ans. is 'a' i.e., Flat leaf like worms* Cylindrical helminthes - Nematodes (roundworms)* Flat, segmented helminthes - Cestodes (tapeworms)* Flat, leaf like helminthes - Trematodes (flukes)